Most common translocation in follicular lymphomas -
1. 14:18
2. 17:19
3. 11:14
4. 22:09

Correct answer: 1. 14:18